Decrease in weight for height indicates?
1. Acute malnutrition
2. Chronic malnutrition
3. Both acute and chronic malnutrition
4. Short stature

Correct answer: 1. Acute malnutrition

Explanation: Decrease in weight for height indicates Acute malnutrition Decrease in height for age indicates chronic malnutrition.